Which of the following has high molecular weight and possess no role in transport mechanism is?
1. Albumin
2. Alpha-globulin
3. Beta globulin
4. Fibrinogen

Correct answer: 4. Fibrinogen

Explanation: Fibrinogen is with molecular weight of 3,40,000 and it helps in coagulation of blood. Ref: Textbook of medical physiology by N Geetha, 2nd edition, page no. 67